Drug of choice of choroiditis is
1. Cycloplegic (atropine)
2. Analgesic
3. Steroid
4. Antibiotic

Correct answer: 3. Steroid

Explanation: C i.e. Steroids Steroids Q are the main stay of treatment in anterior uveitis (iridocyditis) as well as posterior uveitis (choroiditis) Condition Treatment of choice Primary angle closure glaucoma (fellow eye, latent, subacute, intermittent stage) Laser iridotomy Q > Surgical peripheral iridectomy Q Acute congestive stage of primary angle closure glaucoma Pilocarpine (drug of choice) Q to gain time f/b laser iridotomy Q Primary open angle glaucoma /3-blocker (timolol) Q topical Normal / low tension glaucoma /31-blocker (betaxolol) Q topical Anterior uveitis (iridocyclitis) & posterior uveitis (choroiditis) Steroid Q > Cycloplegic-mydriatic (atropine) Q Posner-Schlossman Syndrome (Glaucomatocyclitic crisis) Steroids Q > Aqueous suppressants